Gene associated with medullary carcinoma of thyroid is?
1. RAS
2. RET
3. p53
4. MET

Correct answer: 2. RET

Explanation: ANSWER: (B) RETREF: Schwartz's Principles of Surgery 9th edition chapter 38, Sabiston 18th ed chapter 36